Ram Devi presented with generalized edema sweatingand flushing tachycardia and fever after bee sting. Thisis:
1. T cell mediated cytotoxicity
2. IgE mediated reaction
3. IgG mediated reaction
4. IgA mediated hypersensitivity reaction

Correct answer: 2. IgE mediated reaction

Explanation: . IgE mediated reaction